MAO inhibitors are contra–indicated in all the following conditions EXCEPT:
1. With tricyclic antidepressants
2. With indirectly acting sympathomimetics
3. Cheese
4. Aspirin

Correct answer: 4. Aspirin